Differentiating feature of Neisseria gonococcus from Neisseria meningitidis is ?
1. Lactose fermentation
2. Maltose fermentation
3. Mannitol fermentation
4. Sucrose fermentation

Correct answer: 2. Maltose fermentation